Intellectual disability is diagnosed if I.Q. (Intelligence quotient) is less than :
1. 90
2. 80
3. 70
4. 60

Correct answer: 3. 70

Explanation: The IQ cut off point for diagnosis of intellectual disability is 70. Grades of intellectual disability based on IQ levels are: Mild intellectual disabilityIQ 50-55 and 70Moderate35-40 and 50-55Severe20-25 and 35-40Profoundbelow 20 or 25Diagnostic criteria for intellectual disability includes:An IQ of approximately 70 or below on an individually administered IQ test.Impairment in adaptive functioning in at least two of the following areas such as communication, self care, home living, social /interpersonal skills, functional academic skills, work, leisure, health and safety.Onset should be before 18 years.Ref: DSM-IV-TR Guidebook By Allen Frances, page 373, Abnormal Psychology: An Integrated Approach: An Integrative Approach By David H. Barlow, page 519.